Which of the following sample will contain the highest relative concentration of alcohol at equilibrium?
1. Spinal fluid
2. Liver
3. Brain
4. Whole blood

Correct answer: 1. Spinal fluid

Explanation: Alcohol is lost from the blood to the tissues in proportion to the water content of the tissue with which it comes in contact, till equilibrium is reached between blood and tissue. Relative concentration of alcohol at equilibrium in different samples is given below: Sample Relative concentration Whole blood 1.00 Plasma 1.12 - 1.2 Brain 0.85 Spinal fluid 1.1 - 1.27 Urine 1.3 Liver 0.85 Ref: Textbook of Forensic Medicine and Toxicology by Narayan Reddy, Edition 21, Page - 491